In PHC how to dispose placenta-
1. Deep burial
2. Microwaving
3. Autoclaving
4. Chemical treatment

Correct answer: 1. Deep burial

Explanation: Ans- A Deep burial